Open faced nucleus in a cell signifies
1. that the cell is resting
2. that the cell is active
3. nothing
4. that the cell is in transition phase

Correct answer: 2. that the cell is active